A 20 year old girl presents with abdominal pain, arthralgia and a palpable purpuric rash all over the body. The most likely diagnosis is:
1. Henoch Schonlein Purpura (HSP)
2. Kowasaki Disease
3. Hemolytic Uremic Syndrome (HUS)
4. Idiopathic Thrombocytopenic Purpura (ITP)

Correct answer: 1. Henoch Schonlein Purpura (HSP)

Explanation: Answer is A (Henoch Schonlein Purpura): Palpable Purpura (most commonly distributed over the buttocks and lower extremities), arthralgias, and abdominal pain are all charachteristic features of Henoch-Schonlein purpura. Although H.S purpura is usually seen in children and most patients range in age from 4-7 years, Harrisons text clearly mentions that this condition may also be seen in infants and adults. The charachteristic clinical manifestation of palpable purpura, arthralgia and abdominal pain in this young adult suggest the diagnosis of H-S purpura.